A newborn was given a drug in neonatal ICU, but then was found in respiratory distress. The likely drug is?
1. Morphine
2. Naloxone
3. Salbutamol
4. Soda-bicarb

Correct answer: 1. Morphine

Explanation: Ans. is 'a' i.e., Morphine Causes of respiratory depression in neonate Intrapartum asphixia (most common cause). 3 Drugs :- Norcotic analgesics (morphine or other opioids), anaesthetics. Sepsis o Prematurity :- CNS immaturity, surfactant deficiency. Respiratory problems :- Diaphragmatic hernia, obstructive lesions. o CNS abnormalities :- Malformation, trauma. Muscle disorders :- Myopathy, prematurity.